Alvarado score consist of
1. Leucopenia
2. Anorexia
3. Diarrhea
4. Periumbilical pain

Correct answer: 2. Anorexia

Explanation: A number of clinical and laboratory-based scoring systems have been devised to assist diagnosis. The most widely used is the Alvarado score, A score of 7 or more is strongly predictive of acute appendicitis. Symptoms are : score Migratory RIF pain 1 Anorexia 1 Nausea and vomiting 1 Ref: Bailey & Love's Short Practice of Surgery,E25,Page-1211